Peptic ulcers located in which site are most likely to perforate?
1. Anterior gastric ulcers
2. Posterior gastric ulcers
3. Anterior duodenal ulcers
4. Posterior duodenal ulcers

Correct answer: 3. Anterior duodenal ulcers

Explanation: Ans is 'c' i.e., Anterior duodenal ulcers Complications of peptic ulcer1) Gastrointestinal bleeding* Most common complication of peptic ulcer* Bleeding is more common in duodenal ulcers* It is commonly seen in posterior duodenal ulcers because of erosion of gastroduodenal artery.2) Perforation* It is the second most common complication of peptic ulcer disease.* Perforation occurs commonly in the ulcers located in the anterior part of duodenum.* Duodenal ulcers tend to penetrate into pancreas causing pancreatitis.* Gastric ulcers tend to penetrate into left hepatic lobe.3) Gastric outlet obstruction* It is the least common ulcer related complication.* It is commonly associated with duodenal ulcers.* Tea pot stomach is caused due to longitudinal shortening of the gastric ulcer at the lesser curvature of the stomach (It causes the stomach to look like tea pot).* Hourglass stomach is caused due to cicatricial contraction of a saddle shaped ulcer at the lesser curvature.* Most common complication of peptic ulcer is gastro intestinal bleeding.* It is seen with both chronic and acute type of ulcers. Infact, chronic peptic ulcers are the most common cause of haematemesis and malaena.